Lipids in the tissue are detected by which of the following special histology stains?
1. Periodic Acid Schiff (PAS)
2. Myeloperoxidase
3. Oil Red O
4. Mucicarmine

Correct answer: 3. Oil Red O

Explanation: Commonly asked stains Substance Stain Glycogen Mucicarmine, PAS with diastase sensitivity Lipids Sudan black, Oil Red 'O' Amyloid Congo Red, Thioflavin T (for JG apparatus of the kidney) Calcium Von Kossa, Alzarine Red Hemosiderin Perl's stain Trichrome Collagen appears blue, while smooth muscle appears red.